Which of the following is not true about mercuria lenits?
1. Due to organic mercury
2. Bilateral
3. MALT brown reflex
4. Visual acuity normal

Correct answer: 1. Due to organic mercury

Explanation: Deposition of mercury in lens (anterior part) is mercuria lentis. This is due to inorganic mercury. . Only Minamata's disease is associated with organic Hg. It is bilateral Visual acuity is normal & malt brown reflex is present. Mercuria lentis is due to vapours of Hg.